Commonest site of Ivory osteoma ?
1. Frontal-Ethmodial region
2. Mandible
3. Maxilla
4. Sphenoid

Correct answer: 1. Frontal-Ethmodial region

Explanation: Osteoma Osteoma is a slow growing tumor formed by mature bone tissue. Osteoma are commonly seen in fronto-ethmoid region. The most common sites of osteomas are the frontal sinus followed by ethmoid and maxillary sinuses. They are rare in the sphenoid sinus and extremely rare on temporal and occipital squama. Three histological patterns are recognised : - i) Ivory osteoma (i.e., iburnated osteoma) : - Most common and composed of dense, compact and lamellar bone with lack of Haversion system. ii) Mature (osteoma spongiosum) : - Resembles normal bone, including trabecular bone often with marrow. iii) Mixed type : Mixed elements of above two.